Which of the following HLA subtype is most characteristically associated with Rheumatoid arthritis:
1. HLADR1
2. HLADR2
3. HLADR3
4. HLADR4

Correct answer: 4. HLADR4

Explanation: Answer is D (HLA-DR4): Rheumatoid arthritis is associated with multiple HLA-DR subtypes, but the strongest association has been reported with HLA DR4 The class II MHC allele HLA DR4 and related alleles are knkwn to be major genetic risk factors for RA' - Harrison HLA and Rheumatoid Ahirits * Rheumatoid Arthritis is strongly associated with specific HLA class II markers (Rheumatoid Arthritis is only weakly associated with HLA class I marker) * Rheumatoid Arthritis is associated with multiple HLA subtype encoded by the HLADRB 1 gene Multiple HLA subtypes that are associated with RA (HLA DRB1 gene) HLA DR4 (strongest association in general) HLA DR 1 HLA DR 6 HLA DR 9 HLA DR 10 HLA DR 14 * In different ethnic groups HLA DR1, HLA DR4, HLA DR6, HLA DR9, HLA-DR 10, HLA DR-14 molecules have been associated with RA. * Certain HLA DR alleles may protect against development of RA. HLADR Alleles that may protect against development of RA HLA DR 2 HLA DR 3 HLA DR 5 HLA DR 7